Best Imaging Modality for Perthes disease is?
1. X ray
2. USG
3. CT
4. MRI

Correct answer: 4. MRI

Explanation: *MRI is The IOC for AVN and Perthes Disease. Depression of right femoral head with bone marrow edema. There is joint effusion